Urothelium lines all Except -
1. Ureters
2. Minor calyx
3. Urinary bladder
4. Membranous urethra

Correct answer: 4. Membranous urethra

Explanation: Urothelium (transitional epithelium) is found in the renal pelvis, calyces, ureter, urinary bladder, proximal part of the urethra.
Membranous and most of the penile urethra (in males) is lined by pseudostratified or stratified columnar epithelium.